Obesity predisposes to all, except ?
1. Diabetes
2. Colon cancer
3. Lung cancer
4. Breast cancer

Correct answer: 3. Lung cancer

Explanation: Ans. is 'c' i.e., Lung cancerObesity increases the risk of following diseases :-Greatly increased risk : NIDDM, gall bladder disease, insulin resistance, dyslipidaemia, sleep apnea and breathlessness.Moderately increased risk : Type-2 DM, hypertension, CHD, osteoarthritis (knee), hyperuricemia and gout.Slight increased risk : Cancers (breast, endometrium, colon), PCOD, impaired fertility, low back pain, and fetal defects.